The Clinical incubation period of Filariasis is
1. 10 to 20 days
2. 3 to 6 months
3. 8 to 16 months
4. 6 to 12 months

Correct answer: 3. 8 to 16 months